Frequency range in normal human hearing is?
1. 20-4000 Hz
2. 20-8000 Hz
3. 20-10000 Hz
4. 20-20000 Hz

Correct answer: 4. 20-20000 Hz

Explanation: Ans. (d) 20-20000 HzRef: Dhingra 4th ed p 16, 21